A 2 year old man presents with superficial gash on his forehead. The wound is bleeding profusely, but examination reveals no fracture. The physician suspects a hypersensitive cardiac reflex. The patient's epicranial aponeurosis (galea aponeurotica) is penetrated, resulting in severe gaping of the wound. The structure overlying the epicranial aponeurosis is which of the following?
1. A layer containing blood vessels.
2. The dura mater.
3. The periosteum (pericranium).
4. The tendon of the epicranial muscles (occipitofrontails).

Correct answer: 1. A layer containing blood vessels.

Explanation: A layer containing blood vessels * A mnemonic device for remembering the order in which the soft tissues overlie the cranium is SCALP: Skin, Connective tissue, Aponeurosis, Loose connective tissue, and Periosteum. * The scalp proper is composed of the outer three layers, of which the connective tissue contains one of the richest cutaneous blood supplies of the body. * The occipitofrontal muscle complex inserts into the epicranial aponeurosis, which forms the intermediate tendon of this digastric muscle. This structure, along with the underlying layer of loose connective tissue, accounts for the high degree of mobility of the scalp over the pericranium. * If the aponeurosis is lacerated transversely, traction from the muscle bellies will cause considerable gaping of the wound. Secondary to trauma or infection, blood or pus may accumulate subjacent to the epicranial aponeurosis. Bone is too deep, as is the dural mater.